Under the WHO"Vision 2020'program, the"SAFE" strategy is adopted for which of the following diseases:
1. Trachoma
2. Glaucoma
3. Diabetic retinopathy
4. Onchocerciasis.

Correct answer: 1. Trachoma

Explanation: Ans. Trachoma